A man presented with complaints of scanty, foul smelling, painless discharge from the ear. It is characteristic feature of the following lesion:
1. ASOM
2. Cholesteatoma
3. Central perforation
4. Otitis externa

Correct answer: 2. Cholesteatoma

Explanation: Patients with acquired cholesteatomas typically present with recurrent or persistent purulent otorrhea and hearing loss. The discharge is scanty & always foul-smelling due to bone destruction. Facial nerve twitching, palsy, or paralysis can also result from the inflammatory process or from mechanical compression of the nerve. Ref: Chang C. (2012). Chapter 50. Cholesteatoma. In A.K. Lalwani (Ed), CURRENT Diagnosis & Treatment in Otolaryngology--Head & Neck Surgery, 3e.